6 year old child with recurrent URTI with mouth breathing and failure to grow with high marked palate and impaired hearing is :
1. Tonsillectomy
2. Grommet insertion
3. Myringotomy with grommet insertion
4. Adenoidectomy with grommet insertion

Correct answer: 4. Adenoidectomy with grommet insertion

Explanation: Ans. is 'd' i.e. Adenoidectomy with grommet insertion insertion Hearing impairment and the option of myringotomy and grommet insertion suggests that the patient is also suffering from Serous otitis media (glue ear/secreting otitis media) which is one of the complication of adenoid hyperplasia. Treatment of glue ear requires myringotomy and grommet insertion.